"Thumb printing sign" on barium study is a feature of-
1. Duodenal ulcer
2. Carcinoma stomach
3. Carcinoma head of pancreas
4. Ischemic Colitis

Correct answer: 4. Ischemic Colitis

Explanation: Ans. is 'd' i.e., Ischemic Colitis [Ref: Emergency medicine 1st/e p.66)o Signs of ischemic colitis:- Thumb printing, shallow ulcers (serrated mucosa), Bowel wall thickening of affected segment.Sign in gastrointestinal radiologyDiseasesSingle Bubble signCongenital hypertrophic pyloric stenosisDouble Bubble signDuodenal atresiaDuodenal webDuodenal stenosisLadd's bandAnnular pancreasMalrotation of gutPreduodenal veinTriple Bubble signJejunal or proximal ileum atresiaMultiple Bubble signIleal atresiaSentine loop signColon cut-off signRenal halo signGassless abdomenAcute pancreatitisDouble contour of medial border of duodenal 'C' loop Pad sign (Antral pad sign)Pancreatic carcinomaDilated/widened duodenal 4C' loop Mucosal irregularity Scrambled egg appearance (on ERCP)Pancreatic carcinomaRose thorning of medial wall of 2nd part of duodenum Inverted/Reverse '3' sign of frostberg Double duct sign (ERCP) Liver overlap sign Flank overlap sign (left) DIO overlap sign Coffee bean signSigmoid volvulusBird-of-Preg sign Birds beak sign (ace of spades appearance) Inverted U/V sign Omega sign Bent inner tube sign (Bent tyre tube) Rigler's sign or double wall sign Triangle sign Cupola sign Football signPneumoperitoneiumDog's cape sign_Inverted 'V' sign Falciform ligament sign Seagull or Mercedes Benz or Crow feet signGall stones (triradiate)Fleischner or Inverted umbrella sign Conical cecum or Amputed cecum Goose neck deformity Purse string stenosisIleocecal tuberculosisStierlin sign String sign Widening of ileocecal angle (Normal 90deg) Carman's meniscus signCarcinoma stomach (malignant ulcer)String sign of Kantor Cobble stone appearance Rose thorn appearance Ram's horn stomachCrohn's diseaseBull's eye or Target lesions Comb sign Creeping fat sign (on CT) Mucosal granularity (earliest sign) Loss of haustrations Collor button ulcerUlcerative colitisPseudopolyps Lead pipe or pipe stem colon Back wash ileitis Mucosal edema (thumb printing) Meniscus sign Claw sign Empty right iliac fossaIntussusceptionCoiled spring sign Pincer sign Target sign Bowler's hat sign (Hat sign)Colonic polypThumb print signIschemic colitis"Saw-tooth" appearanceColonic diverticulosisString of bead signSmall bowel obstructionStep ladder pattern (multiple air fluid levels)Intestinal obstructionAccordion patternPseudomembranous colitisDistorted fundic bubble Indentation of gastric air bubble Fracture 9-11 ribs (on left side) Loss of psoas outlineSplenic traumaElevation of left hemidiaphragm Multiple air fluid levels with stepladder pattern 'Tooth - like' calcification in pelvisOvarian dermoid'Arc - like' calcification in right upper quadrantLiver hydatid cystWidening of 'C' loop of duodenumCarcinoma pancreatic head(MC cause)PancreatitisLymph node enlargementRetroperitoneal massesAbdominal aortic aneurysmCholedochal cystApple core appearanceNapkin ring signCarcinoma colonSoap Bubble sign(Bubbly/Froathy/Apple sauce appearance)Meconium ileusCentral dot signCaroli's disease (most commoncause),Prebiliary cysts, obstructive jaundice, periportal lymphedema.Pruned-T ree appearance Beaded appearancePrimary sclerosing cholangitisSkip lesions Light bulb appearanceLiver hemangioma (on T2 image on MRI)Double track sign String signCongenital hypertrophic pyloric stenosisShoulder/mushroom/apple core signBeak signDiamond signTeat signCaterpillar sign Short mouth appearanceIleocecal valveLove bird signPost-traumatic diaphragmatic herniaMoulage signMalabsorption (celiac disease)Hellmer's signIntraperitoneal fluidRat tail appearance of esophagusEsophageal carcinomaMegaesophagus (sigmoid esophagus) "Bird beak" appearanceHurst phenomenonAchalasia cardiaYo-Yo motion of barium "Corkscrew" appearance(esophageal curling)Rosary-bead/sheikh kebab configurationChain of bead appearanceDiffuse esophageal spasm o "Dog ear or bladder ear sign"-Hemoperitoneum of pouch of douglaso "Cluster sign on" CT-Multiple abscesses of livero Straight line sign (linear border between normally perfused and hypoperfused parenchyma of liver) - Hepatic segmental perfusion.o "Double target sign" on MRI-Pyogenic liver abscesso "Wheel inside wheel sign" on USG-Fungal (Candidal) liver abscesso 'Meniscus sign' on cholangiography-CBD stone